How much Potassium is present in the Ringer Lactate solution
1. 1 mEq/L
2. 4 mEq/L
3. 2 mEq/L
4. 6 mEq/L

Correct answer: 2. 4 mEq/L

Explanation: A litre provides 9 calories (from lactate), sodium (Na+)-130 mEq, potassium (K+)-4 mEq, calcium (Ca++)-3 mEq, chloride (Cl-)-109 mEq and lactate - 28 mEq. The electrolyte content is isotonic (273 mOsmol/liter, calc.) in relation to the extracellular fluid (approx. 280 mOsmol/liter). The pH of the solution is 6.6 (6.0 - 7.) Ringer's lactate solution (RL), also known as sodium lactate solution and Hartmann's solution, is a mixture of sodium chloride, sodium lactate, potassium chloride, and calcium chloride in water. It is used for replacing fluids and electrolytes in those who have low blood volume or low blood pressure Ref Davidson 23rd edition pg 368